Dental cuticle refers to
1. Enamel cuticle
2. Cemental cuticle
3. Secondary enamel cuticle and cemental cuticle
4. None of the above

Correct answer: 3. Secondary enamel cuticle and cemental cuticle

Explanation: Reduced enamel epithelium is formed from the outer enamel epithelium and stellate reticulum after the completion of enamel formation.
Coronal cementum is the acellular afibrillar cementum (AAC), which is a mineralized ground substance containing no cells and is devoid of extrinsic and intrinsic collagen fibers. It is formed due to the premature toss of the reduced enamel epithelium protecting the newly formed enamel at the cervical region.
The ameloblasts are replaced by the oral epithelial cells during the tooth eruption. These cells form the secondary enamel cuticle which extends over the cementum called cemental cuticle.  Secondary enamel cuticle and cemental cuticle are together referred as dental cuticle.